Mode of transmission of Q fever is
1. Bite of infected louse
2. Bite of infected tick
3. Bite of infected mite
4. Inhalation of aerosol

Correct answer: 4. Inhalation of aerosol

Explanation: Modes of Transmission of few important diseases: